A mother comes with her 3 year old female child with complain of that child is not eating anything. Her weight is 11 kg (50thpercentile) and height is 88 cm (75lh percentile). What should be done next?
1. Vitamin rich tonic to be given
2. Forceful eating
3. Nothing should be done actively and assure the patients
4. Complete investigation for UTI

Correct answer: 3. Nothing should be done actively and assure the patients

Explanation: Ans. is 'c' Nothing should be done actively and assure the parents (Ref. : Parks, 16/e, p373, Ghai 6/e, p 5, Nelson 17/e, p 40-43)WHO prototype growth chart has 2 reference curves.The upper reference curve represents the median (50th percentile) for boys (slightly higher than that for girls).The lower reference curve the 3rd percentile for girls (slightly lower than that for boys).Thus the chart can be used for both sexes.The space between 2 growth curves has been called the road to health*.If the child is growing normally, its growth line will be above the 3rd percentile and will run parallel to the road to health curves.The girls in the question falls between these 2 reference curves that means that she is growing normally. Therefore she does not require anything.